Central muscle relaxants act by :
1. Decreasing nerve conduction
2. Inhibiting spinal polysynaptic reflexes
3. Blocking conduction across NM junction
4. Causing CNS depression

Correct answer: 2. Inhibiting spinal polysynaptic reflexes